Pearl Index of SAHEIL
1. 2/HWY
2. 14/HWY
3. 0.1/HWY
4. 9/HWY

Correct answer: 1. 2/HWY